The ideal rehabilitation for aphakia is
1. Spectacle
2. Contact lens
3. Anterior chamber intraocular lens
4. Posterior chamber intraocular lens

Correct answer: 4. Posterior chamber intraocular lens

Explanation: D i.e. Posterior chamber intraocular lens